Otosclerosis shows which kind of tympanogram?
1. Low compliance
2. High compliance
3. Normal compliance
4. No effect on compliance

Correct answer: 1. Low compliance

Explanation: Ans. (a) Low complianceRef: Appendix-48 for "Types of Tympanogram